A 55 years old female presents with tinnitus, dizziness and h/o progressive deafness, differential diagnosis includes all except -
1. Acoustic neuroma
2. Endolymphatic hydrops
3. Meningioma
4. Histiocytosis - X

Correct answer: 4. Histiocytosis - X